In Lysosomal storage disorders, true is
1. The lyososomes are deficient in the enzyme hydrolase
2. There is a defect in the fusion of lysosomes and phagosomes
3. There is a defect in the lysosomal membrane
4. There is increased degradation of heteroglycans

Correct answer: 1. The lyososomes are deficient in the enzyme hydrolase

Explanation: Lysosomal storage diseases (LSDs); are a group of approximately 50 rare inherited metabolic disorders that result from defects in lysosomal function. Lysosomes are sacs of enzymes within cells that digest large molecules and pass the fragments on to other parts of the cell for recycling. This process requires several critical enzymes. If one of these enzymes is defective, because of a mutation, the large molecules accumulate within the cell, eventually killing it.